The drug used in absence seizures and having a narrow spectrum of antiepileptic activity is:
1. Lamotrigine
2. Ethosuximide
3. Sodium valproate
4. Primidone

Correct answer: 2. Ethosuximide

Explanation: (Ref: KDT 6/e p406, 407) Ethosuximide is useful only in the treatment of absence seizures (petit mal epilepsy). Valproic acid and lamotrigine are broad spectrum antiepileptic drugs.